Which of the following apoproteins activate esterification of cholesterol?
1. Apo E
2. Apo C
3. Apo A1
4. Apo B100

Correct answer: 3. Apo A1

Explanation: Apo A1, the major apoprotein in HDL activates LCAT(Lecithin cholesterol acyltransferase).The discoid HDL whoich has mainly ApoA1 receives cholesterol from the peripheral tissues which is estrified by LCAT.Esterification makes the cholesterol hydrophobic and is pushed to the core of HDL.As more and more cholesterol is taken up and esterified,the HDL becomes spherical. Ref: Bersot T.P. (2011). Chapter 31. Drug Therapy for Hypercholesterolemia and Dyslipidemia. In B.C. Knollmann (Ed), Goodman & Gilman's The Pharmacological Basis of Therapeutics, 12e.